C. diphtheriae is also called as -
1. Koch's bacillus
2. Roux bacillus
3. Klebs-Löffler bacillus
4. Yersin bacillus

Correct answer: 3. Klebs-Löffler bacillus